Calorie restriction increases longevity through -
1. Siruins
2. Albumin
3. Amyloid
4. Carotene

Correct answer: 1. Siruins

Explanation: Sirtuins are a family of proteins that play a role in aging by regulating cellular health. They're responsible for critical biological functions like DNA expression and aspects of aging. However, sirtuins can only function in the presence of NAD+, nicotinamide adenine dinucleotide, a coenzyme found in all living cells. Ref Harrison 20th edition pg 78